A 32-year-old man presents with abdominal pain. On examination, he is noted to have pigmented spots in the buccal region. He is diagnosed to have Peutz-Jeghers syndrome, which also results in what? SELECT ONE.
1. Optic neuroma
2. Constricted pupil
3. Cerebellar dysfunction
4. Hamartomatous polyps in the small intestine

Correct answer: 4. Hamartomatous polyps in the small intestine

Explanation: In Peutz-Jegher syndrome, pigmented melanin spots are found in the buccal and perineal region. The lesions are flat and greenish black in the buccal region and remain after puberty. Pigmentation is found inside the mouth, nostrils, palms, and feet. Usually at about 20-30 years of age, hamartomatous polyps are found in the small intestine, but other parts of the alimentary tract may also be involved. Adenocarcinoma develops in 23% of patients.